A 72-year-old man has had increasing dyspnea for the past year. Decreased breath sounds are heard on auscultation of the right side of the chest. A chest radiograph shows a large pleural mass that nearly encases the right lung. Exposure to which of the following metals is most likely to be associated with these findings?
1. Arsenic
2. Asbestos
3. Beryllium
4. Chromium

Correct answer: 2. Asbestos

Explanation: Asbestos fibers can cause pulmonary interstitial fibrosis with restrictive lung disease, and there is an increased risk of malignancy. Individuals who have been exposed to asbestos and who smoke have a greatly increased incidence of bronchogenic carcinoma. Mesothelioma is uncommon, even in individuals with asbestos exposure, but virtually all occurrences of malignant mesothelioma are in individuals who have been exposed to asbestos. Arsenic exposure is a risk factor for skin cancer. Chronic beryllium exposure may lead to sarcoid like granuloma formation. Chromium exposure increases the risk of carcinomas of the upper respiratory tract and lung. Nickel exposure is associated with cancers of the respiratory tract.